Ventrolateral cordotomy for relief of pain in right lower limb is by cutting the:
1. Left ventral spinothalamic tract
2. Left lateral spinothalamic tract
3. Right ventral spinothalamic tract
4. Right lateral spinothalamic tract

Correct answer: 2. Left lateral spinothalamic tract

Explanation: Pain and temperature is carried by lateral spinothalamic tract. This tract cross obliquely to the opposite side within one spinal segment and ascend in the opposite anterolateral white column as the lateral spinothalamic tract. So, pain from right leg relieved by cutting left lateral spinothalamic tract.